A class C diabetic patient delivers at term, it is important to check her blood sugar levels immediately postpartum, since there may be a decrease in the insulin requirements of diabetic patients. This can be partly explained by :
1. Increased food intake
2. Decreased activity
3. Decrease in plasma chorionic somatomammotropin
4. All

Correct answer: 3. Decrease in plasma chorionic somatomammotropin

Explanation: Decrease in plasma chorionic somatomammotropin